Which among the following pair of oncogenes is activated by translocation?
1. SIS and HST-1
2. HGF and L-MYC
3. TGF and CDK-4
4. ABL and C-MYC

Correct answer: 4. ABL and C-MYC